A 27 year old obese woman is presenting with oligomenorrhoea, infertility and hirsuitism. What is the most likely diagnosis?
1. Polycystic ovaries
2. Endometriosis
3. Pelvic inflammatory disease
4. Turner's syndrome

Correct answer: 1. Polycystic ovaries

Explanation: PCOS is a syndrome manifested by amenorrhea, hirsuitism and obesity associated with enlarged polycystic ovaries. Patients presents with obesity, hirsuitism, oligomenorrhea or amenorrhea and infertility. Investigations reveals LH:FSH >3:1, reduced level of SHBG and sex hormone binding globulin, elevated levels of androstenedione and serum insulin level, marginally elevated levels of serum testosterone and DHEAS. Transvaginal ultrasonography shows enlarged ovary with peripherally arranged cysts. Ref: Textbook of Gynecology By DC Dutta, 4th Edition, Pages 285, 405, 421-3